Carpal bone which fracture commonly:
1. Scaphoid
2. Lunate
3. Hammate
4. Pisciform

Correct answer: 1. Scaphoid

Explanation: A i.e. Scaphoid